During preanaesthetic evaluation Anaesthetist wrote Mallampati grade 3 what it signifies:-
1. A large tongue
2. Decreased neck movement
3. A big epiglottis
4. Trismus

Correct answer: 1. A large tongue

Explanation: other predictors of difficult intubation. Thyromental distance <6.5 cm with head in maximum extension Sterno-mental distance <12 cmwith head in maximum extension Increased neck circumference (>17 inches in men or >16 inches in women) Upper lip bite test :Inability to protrude the mandible or lower teeth in front of the upper teeth